Kyasanur forest disease (KFD) is transmitted by -
1. Anopheles mosquitoes
2. Sand fly
3. Hard ticks
4. Mites

Correct answer: 3. Hard ticks

Explanation: Hard ticks transmit the following disease Tick typhus Viral encephalitis Viral fever Viral hemorrhagic fever (KFD) Tularemia Tick paralysis Human babesiosis Soft tick transmits Q fever Relapsing fever KFD Park's Textbook of Preventive and Social Medicine, 25th edition, Page No. 841